Pneumotaxic center; True is:
1. Contains both I and E neurons
2. May play a role in fine tune of breathing
3. Both
4. None

Correct answer: 3. Both

Explanation: Pneumotaxic Center : Controls rate of breathing.

Located in the medial parabrachial and Kolliker-Fuse nuclei of the dorsolateral pons.
Contains both I and E neurons.
The normal function of the pneumotaxic center is unknown, but it may play a role in smooth switching between inspiration and expiration (“fine-tune” of the breathing).
A strong pneumotaxic signal can increase the rate of breathing 30-40 breaths per minute, whereas a weak pneumotaxic signal may reduce the rate to only 3-5 breaths per minute.